Tadalafil acts on Phosphodiesterase 5 and causes accumulation of-
1. cAMP
2. cGMP
3. PAF
4. IL10

Correct answer: 2. cGMP

Explanation: Ans. is 'b'i.e., cGMP o Inhibition of PDE-5 prevents degradation of cGMP which results in accumulation of cGMP and marked potentiation of NO action - Relaxation of smooth muscle in corpus cavemosum and blood vessels supplying it - Erection of penis,o Drugs are : -SiledenafilTodafilVardenafil